Commonest presentation of infant with bilateral choanal atresia -
1. Difficulty in breathing
2. Dysphagia
3. Smiling
4. Difficulty in walking

Correct answer: 1. Difficulty in breathing

Explanation: Bilateral choanal atresia presents as respiratory distress in newborn and requires support immediately after birth.